A 33-year-old patient with septic shock is noted to have persistent hypotension despite IV dopamine infusion. The patient is treated with an IV infusion of epinephrine. With which adrenoceptor does epinephrine act to constrict vascular smooth muscle
1. a1 -Adrenoceptors
2. a2 -Adrenoceptors
3. b1 -Adrenoceptors
4. b2 -Adrenoceptors

Correct answer: 1. a1 -Adrenoceptors

Explanation: a1 -Adrenoceptors mediate vasoconstriction in many vascular beds. In skeletal muscle, epinephrine can act on b2 -adrenoceptors to cause vasodilation. Ref:- KD Tripathi